The posterior focal point of the reduced eye situated on the retina is how many millimetre behind the anterior surface of cornea:
1. 22.9 mm
2. 24.4 mm
3. 23 mm
4. 21 mm

Correct answer: 2. 24.4 mm

Explanation: Ans. 24.4 mm